TRUE about posterior communicating artery is ?
1. A branch of internal carotid artery
2. A branch of superior cerebral artery
3. A branch of middle cerebral artery
4. Supplies crus cerebri

Correct answer: 1. A branch of internal carotid artery

Explanation: Posterior communicating arises from the internal carotid artery before it bifurcates into anterior and middle cerebral artery. It communicates with the posterior cerebral artery and is a part of the circle of Willis. Circle of willis: it is an anastomosis of internal carotid and vertebral artery seen at the base of the brain. This communicating pathway allows equalization of blood-flow between the two sides of the brain, and permits anastomotic circulation, should a part of the circulation be occluded. Vessels of circle of willis: it is formed in front by the anterior cerebral arteries, branches of the internal carotid, which are connected together by the anterior communicating; behind by the two posterior cerebral arteries, branches of the basilar, which are connected on either side with the internal carotid by the posterior communicating artery. Anterior cerebral artery (left and right) Anterior communicating artery Internal carotid artery (left and right) Posterior cerebral artery (left and right) Posterior communicating artery (left and right) Ref: Thieme atlas of anatomy: Head and neuroanatomy. Vol. 3, By Michael Schunke, Erik Schulte, Udo Schumacher, Jurgen Rude, page 246